Which of the following is proof of eyes being open for few hours after death
1. Kevorkian sign
2. Tach noir
3. Both of above
4. None of above

Correct answer: 2. Tach noir

Explanation: Kevorkian sign (fragmentation & segmentation of retinal vessels) is a sign seen in retina; which is independent of eye opening. it appears within minutes after death and stays there for about an hour. Tache noir is the dust deposition in the sclera in the form of two triangles on either side of iris when eyes are open. it is brown in color and later turns black. appears after 3-4 hours after death.